Which of the following is NOT an advantage of low molecular weight herparin over unfractionated heparin?
1. Higher efficiency in arterial thrombosis
2. Less frequent dosing
3. Higher and more consistent subcutaneous bioavailability
4. Laboratory monitoring of response not required

Correct answer: 1. Higher efficiency in arterial thrombosis

Explanation: Ref: KDT 6/e p603